A blood stained discharge from the nipple indicates ?
1. Breast abscess
2. Fibroadenoma
3. Duct papilloma
4. Fat necrosis of breast

Correct answer: 3. Duct papilloma

Explanation: Ans is 'c' i.e. Duct papilloma "Bloody discharge is more suggestive of cancer but is usually caused by a benign papilloma in the duct." - CSDT "Intraductal papilloma is the most common cause of bloody nipple discharge." -- Schwartz 7/e p 553 Also remember Nipple discharge is suggestive of cancer if it is spontaneous, unilateral, localized to a single duct, occurs in women age 40 years or more, is bloody, or is associated with a mass. Nipple discharge is suggestive of a benign condition if it is bilateral or multiductal in origin, occurs in women age 39 years or less, or is milky or blue green in colour.